In radical neck dissection, which structure is not removed
1. Cervical group of lymph nodes
2. Sternocleidomastoid muscle
3. Internal jugular vein
4. None of the above

Correct answer: 4. None of the above